Which of the following is the major source of Vitamin D
1. Milk
2. Oily fish
3. Egg yolk
4. Sunlight

Correct answer: 4. Sunlight

Explanation: Vitamin D is not strictly a vitamin since it can be synthesized in the skin, and under most conditions, this is the major source of the Vitamin D. Ref : Biochemistry by U. Satyanarayana 3rd edition Pgno : 123